Cobblestone appearance is seen in
1. Spring Catarrh
2. Viral conjunctivitis
3. Bacterial conjunctivitis
4. Phlyctenular conjunctivitis

Correct answer: 1. Spring Catarrh

Explanation: Cobblestone appearance is severe papillary hyperplasia in upper palpebral conjunctiva Refer: Khurana 6th edition page number 73